All are true about Exenatide except -
1. Decreases glucagon secretion
2. It is GLP 1 analogue
3. Used in type 1 DM
4. Given subcutaneously

Correct answer: 3. Used in type 1 DM

Explanation: Ans. is 'c' i.e., Used in type I diabetes mellitus Exenatide is a synthetic glucagon-like peptide -1 (GLP-l) analogue. o It acts similar to GLP-1 --> Enhancement of postprandial insulin release, suppression of glucagon release and appetite as well as slowing of gastric emptying. o It is given by subcutaneous route & used in type 2 DM